Amputated finger is transported in:
1. Plastic bag with wet ice
2. Plastic bag with dry ice
3. Plastic bag with cold saline
4. Plastic bag with cold water

Correct answer: 1. Plastic bag with wet ice

Explanation: Amputated finger is transported in a Plastic bag with wet ice. "If it is anticipated that the amputated part will be considered for replantation, it is critical to transport the patient and the part in an appropriate manner. The amputated part is placed in a clean, dry, plastic bag, which is sealed and placed on top of ice in a Styrofoam container. This keep the part sufficiently cool at 4 deg to 10 deg C without freezing. The amputated part is wrapped in a lightly moistened saline gauze to prevent tissue drying"